Subepidermal bulla are seen in -
1. Pemphigoid
2. Pemphigus
3. Pityriasis rosea
4. Psoriasis

Correct answer: 1. Pemphigoid

Explanation: A. i.e. Pemphigoid